Mitral stenosis is associated with :
1. Right ventricular hypertrophy
2. Left ventricular hypertrophy
3. Left axis deviation
4. QRS complex

Correct answer: 1. Right ventricular hypertrophy

Explanation: Answer is A (Right ventricular hypertrophy) Mitral stenosis is associated with right ventricular hypertrophy. Left ventricular diastolic pressure is normal in isolated MS. Mitral stenosis : Features left atrial pressure is increased pulmonary arterial pressure is increased Increased right ventricular after load impedes the emptying of this chamber and Right ventricular end diastolic pressure and volume increase. Right ventricular hypertrophy occurs.